Most common type of AML in Down's syndrome
1. M2
2. M3
3. M6
4. M7

Correct answer: 4. M7

Explanation: - Megakaryocytic maturation AML - Most common AML in Down's syndrome. - Blast cells in these patients are highly sensitive to medications - show better outcome than AML in those without Trisomy 21.